All are ATP dependent transporters except
1. Na+ K+ ATPase
2. H+ ATPase
3. Cystic Fibrosis Transmembrane Regulator (CFTR)
4. Na+ Ca2+ exchanger

Correct answer: 4. Na+ Ca2+ exchanger

Explanation: ATP-dependent transporters, as their name implies, use the energy in ATP to drive the movement of molecules/ ions across the membrane. There are two groups of ATP-dependent transporters: ATPase ion transporters and ATP-binding cassette (ABC) transporters.Na+ K+ ATPase , H+ ATPase , CFTR is an example for ATP-binding cassette (ABC) transporter. Na+ Ca2+ exchanger is a secondary active transporter.Reference: Berne and Levy Physiology; updated 6th edition, Page no: 9